Which is not a cause for Hamarlopia?
1. Polar cataract
2. Congenital deficiency of cones
3. Peripheral cortical cataract
4. Central corneal opacity

Correct answer: 3. Peripheral cortical cataract

Explanation: Peripheral cortical cataract causes Nyctalopia. Central vitreous opacity, Congenital deficiency of cones and Central nuclear or polar cataracts can cause Hamarlopia (Day blindness). Ref: A K Khurana, 2nd Edition, Page 11.